Saint Antony's Fire is a description given for
1. Erysipela's
2. Impetigo
3. Scarlet fever
4. Streptococcal tonsillitis

Correct answer: 1. Erysipela's